A child presents with antimongoloid slant, pulmonary stenosis, short stature and undescended testis. The likely diagnosis is-
1. Hypoparathyroidism
2. Noonan syndrome
3. Klinefelter syndrome
4. XYY sex chromosomes

Correct answer: 2. Noonan syndrome

Explanation: Ans. is 'b i.e., Noonan Syndrome